According to Broun "Chemical tourniquet" is:
1. Adrenaline.
2. Hyaluronidase
3. Both
4. None

Correct answer: 1. Adrenaline.

Explanation: Adrenaline was discovered by Albel. Broun suggested using adrenaline as a "Chemical tourniquet" to prolong the duration of local anesthetics.